Which one of the following statements is false -
1. The presence of ingested erythrocytes is seen only in Entamoeba histolytica
2. Young adult male of low socioeconomic status are most commonly affected by invasive amoebiasis
3. A low iron content in the diet predisposes to invasive amoebiasis
4. The pathogenic and non-pathogenic strains of E. Histolytica can be differentiated by the electrophroretic study of zymodemes

Correct answer: 3. A low iron content in the diet predisposes to invasive amoebiasis

Explanation: In food vacuoles of trophozoites,erythrocytes,leucocytes,tissue debris are found Cultures are not used routinely but may on occasion prove positive in cases found negative by microscopy. Cultures permit the determination of zymodeme patterns for differentiation between pathogenic and nonpathogenic strains. TEXTBOOK OF MEDICAL PARASITOLOGY,CKJ PANIKER,6TH EDITION,PAGE NO 25